Lipid is required in the average diet because it
1. has a high caloric value
2. provides essential fatty acids
3. aids in absorption of carbohydrates
4. is necessary for storage of carbohydrates

Correct answer: 2. provides essential fatty acids